Repeated use of halothane causes
1. Hepatitis
2. Pancreatitis
3. Encephalitis
4. Meningitis

Correct answer: 1. Hepatitis

Explanation: A i.e. Hepatitis